If BIRADS score is 4, your next step would be:
1. Additional imaging
2. Routine mammography
3. Biopsy
4. Follow up

Correct answer: 3. Biopsy

Explanation: BIRADS (Breast Imaging Reporting And Data System) Category Definition Likelihood of Malignancy 0 Incomplete assessment, need additional imaging evaluation Not applicable 1 Negative, routine mammogram in 1 year is recommended 0% 2 Benign findings, routine mammogram in 1 year is recommended 0% 3 Probably benign findings, short term follow-up suggested >0 to <2% 4 Suspicious abnormality, biopsy should be considered0 (4A-Low suspicion; 4B-Moderate suspicion, 4C-High suspicion) 4A:>2-<10% 4B:>10-<50% 4C:>50-<95% 5 Highly suggestive of malignancy, appropriate action should be taken >95% 6 Know biopsy-proven malignancy Not applicable Thyroid: TIRADS - based on sonography Prostate: PIRADS-based on MRI